Investigation of choice of vitreous hemorrhage is -
1. Ultrasound biomicroscopy
2. A-Scan
3. B-Scan
4. OCT

Correct answer: 3. B-Scan

Explanation: Ans. is 'c' i.e., B-Scan Vitreous hemorrhageo Vitreous hemorrhage refers to bleeding into the vitreous chamber or a space created by vitreous detachmento Causes of vitreous hemorrhage are :i) Posterior vitreous detachment.ii) Proliferative diabetic retinopathy.iii) Eale's disease & Coat's disease.iv) Retinal tear (break) due to trauma.v) Vascular disorders :- Hypertensive retinopathy, or vitreous tractionvi) CRVO.vii) Branched retinal vein occlusion.viii) Acute chorioretinitis, periphlebitis or uveitisix) Bleeding disorders (Polycythemia, anemia, SCA)x) Age- related macular degeneration xi) Neoplasm vi) Retinal macroaneurysmxi) Terson syndromeo Patients present with sudden onset of floaters (black spots in front of the eye) where the hemorrhage is small, and there may be sudden painless loss of vision if the hemorrhage is large,o On examination, following findings are there :i) Normal anterior segment.ii) Distant direct ophthalmoscopy:- black shadow against the red glow in small hemorrhages and no red glow in a large hemorrhage.iii) Non- visualization of fundus with an ophthalmoscope in a large hemorrhage and in small hemorrhages blood may be seen in vitreous cavity.iv) Slit lamp shows reddish mass in anterior vitreous.o B- scan USG is particularly helpful in diagnosing vitreous hemorrhage.